What is the location of Killian dehiscence?
1. Below Superior constrictor
2. Between Inferior constrictor
3. Below cricopharyngeal muscle
4. Below upper 1/3rd of smooth muscle of oesophagus

Correct answer: 2. Between Inferior constrictor

Explanation: Inferior constrictor muscle- Thyropharyngeus above and cricopharyngeus below In between Thyropharyngeus and cricopharyngeus muscle fibres, there is a dehiscence known as Kilian's dehiscence. Protrusion of mucosa and submucosa Kilian's dehiscence is known as Zenker's diverticulum. Larimer's dehiscence- below cricopharyngeus